Not true about Vi polysaccharide vaccine of typhoid:
1. Single dose is given
2. Revaccination at 3 years
3. Given at birth
4. Given subcutaneously

Correct answer: 3. Given at birth

Explanation: Ans. is. 'c' i. e., Given at birth